Commonest cause of post partum haemorrhage is
1. Atonic uterus
2. Traumatic
3. Combination of atonic and traumatic
4. Blood coagulation disorders

Correct answer: 1. Atonic uterus

Explanation: (Atonic Uterus) (411-Dutta 6th)* Atonic uterus (80%) is the commonest cause of PPH* Other causes of PPH are - Traumatic (20%), combination of atonic and traumatic causes, Blood coagulation disordes* The conditions where such disorders may occur are abruptioplacentae. Jaundice in pregnancy thrombocytopenia purpura, HELLP syndrome or in IVD.* Minimum duration between onset of symptoms and death is seen in PPH* Secondary PPH usually occur between 8th to 14th day of deliverySurgical method to control PPH(a) Ligation of ascending branch of uterine artery**(b) Ligation of ovarian & uterine artery anastomosis(c) Ligation of anterior division of internal iliac artery**(d) B- Lynch brace suture** & haemostatic suturing(e) Angiographic arterial embolisation (bleeding vessels)